Which of the following is associated with sun exposure
1. Actinic keratosis
2. Seborrhoeic keratosis
3. Sebaceous cell carcinoma
4. Syringoma

Correct answer: 1. Actinic keratosis

Explanation: Ans. a. Actinic keratosis Actinic keratosis or solar keratosis is a reflection of abnormal skin cell development due to exposure to ultraviolet radiation Actinic/Solar Keratosis Premalignant lesions occurring on the sun exposed part of the body in persons of fair complexion. It is raised, pink or grey, scaling or warty hyperkeratotic plaque or papule 0.2% transform to squamous cell carcinoma Treatment: Liquid nitrogen application is therapy of choice. 5-FU for multiple superficial actinic keratosis. lmiquimod can also be used